Antioxidant property is seen in -
1. Chromium
2. Selenium
3. Magnesium
4. Iron

Correct answer: 2. Selenium

Explanation: Ans. is 'b' i.e., Selenium Microminerals or trace elementsChromiumPotentiate the effect of insulinrImpaired glucose metabolismCobaltConstituent of vitamin B12rMacrocytic anemiaCopperConstituent of oxidase enzymes, e.g., tyrosinase, lysyl oxidaser, superoxide dismutase, cytochrome oxidase, ferroxidse and ceruloplasmin, involved in iron absorption and mobilization'Microcytic hyporchromic anemia, depigmentation of skin, hair. Excessive deposition in liver in Wilson's diseaser, Menkes disease ("Kinky" or "'steely" hair disease) due to copper- binding P-type ATPasegene mutationrFluorideConstituent of bone and teeth, strengthens bone and teethDental cariesIodineConstituen t of thyroid hormones (T3 andT4)Cretinism in children and goiter in adultsIronConstituent of heme and non-heme compounds and transport, storage of O2, cytochrome oxidase, xanthine oxidase, catalase, peroxidaseMicrocytic anemiaManganeseCofactor for number of enzymes, e.g., arginase, carboxylase, kinase, enolase, glucosyl transferase, phosphoglueomutaseNot well definedMolybdenumConstituent of xanthine oxidase, sulfite oxidase and aldehyde oxidaseXanthinuriaSeleniumAntioxidant, cofactor for glutathione peroxidase, protects cell against membrane lipid peroxidationCardiomyopathyZincCofactor for enzymes in DNA, RNA and protein synthesis, constituent of insulinr, carbonic anhydraser, carboxypeptidaser, LDHr, alcohol dehydrogenaser, alkaline phosphataser,glutamate dehydrogenase, Porphobilinogen synthase, super oxide dismutaser.Growth failure, impaired wound healing, defects in taste and smell, loss of apetite